Unilateral high stepping gait is seen in
1. L5 radiculopathy
2. Distal radiculopathy
3. Cauda equina syndrome
4. None

Correct answer: 1. L5 radiculopathy

Explanation: Steppage gait (High stepping, Neuropathic gait) is a form of gait abnormality characterised by foot drop or ankle equinus due to loss of dorsiflexion. The foot hangs with the toes pointing down, causing the toes to scrape the ground while walking, requiring someone to lift the leg higher than normal when walking Conditions associated with a steppage gait Edit Foot drop Charcot-Marie-Tooth disease Polio Multiple sclerosis Syphilis Guillain-Barre syndrome Spinal disc herniation Anterior Compartment Muscle Atrophy Deep fibular nerve Injury Spondylolisthesis Slipped Femoral Epiphysis ALS/PLS Ref Harrison20th edition pg 2445